Rivastigmine and Donepezil are drugs used predominantly in the management of
1. Depression
2. Dissociation
3. Delusion
4. Dementia

Correct answer: 4. Dementia

Explanation: In dementia, specific drug treatment such as cholinesterase inhibitors (e.g. donepezil, rivastigmine, galantamine) in moderate Alzheimer's disease, or memantine (NMDA antagonist) in moderate to severe Alzheimer's disease, can be helpful. Ref: A Short Textbook of Psychiatry, Niraj Ahuja, 7th Edition, pg. no. 26